The tooth is tender on vertical percussion. It may be due to
1. Osteomyelitis
2. Periapical inflammation
3. Necrotic pulp
4. Angular bone loss

Correct answer: 2. Periapical inflammation